Gerlach tonsil in Waldayer's ring is ?
1. Tubal tonsil
2. Palatine tonsil
3. Pharyngeal tonsil
4. Lingual tonsil

Correct answer: 1. Tubal tonsil

Explanation: Ans. is 'a' i.e., Tubal tonsil Waldeyer's ring of lymphoid tissue Waldeyer's ring refers to the group of lymphatic organs that "guards" the oropharynx and nasopharynx in a roughly circular pattern, providing surveillance for pathogens or other foreign materials and mounting a defensive immunoresponse. The right and left palatine tonsils form the most conspicuous parts of the waldeyer's ring. The ring is completed below by the lingual tonsils and above by pharyngeal tonsils (adenoids) and tubal tonsils. Since the respiratory and oral cavities may be a site of entry for many pathogens, waldeyer's ring maintains surveillance in this critical region and is able to initiate the immune response before the pathogens invade deep into the body. Gerlach tonsil is a collection of lymphoid nodules near the pharyngeal opening of auditory tube. It is also called as tubal tonsil.